All of the following statements regarding Sertoli cells are TRUE, EXCEPT:
1. Secretes inhibin
2. Secretes androgen binding protein
3. Stimulated by LH
4. Forms blood-testis barrier

Correct answer: 3. Stimulated by LH

Explanation: Sertoli cells are stimulated by pituitary FSH surface FSH receptors and by testosterone from the Leydig cells cytoplasmic receptors. The FSH stimulated sertoli cells produce androgen binding protein which binds testosterone and is carried into the fluid of the seminiferous tubule where it exerts a strong influence on the course of spermatogenesis. The principal functions of Sertoli cells are: Maintenance of blood testis barrier Secretion of tubular fluid Secretion of androgen binding protein Secretion of estrogen and inhibin Maintenance and coordination of spermatogenesis Phagocytosis of residual bodies of sperm cells Ref: Human Embryology and Developmental Biology By Bruce M. Carlson page 20.